Type I hypersensitivity reaction is mediated by:
1. IgG
2. IgM
3. IgD
4. IgE

Correct answer: 4. IgE

Explanation: In immediate hypersensitivity (type I hypersensitivity)- the injury is caused by TH2 cells, IgE antibodies, and mast cells and other leukocytes. Mast cells release mediators that act on vessels and smooth muscle and pro-inflammatory cytokines that recruit inflammatory cells.